What is the treatment for Benign Positional vertigo -
1. Vestibular exercises
2. Vestibular sedatives
3. Anthistamines
4. Diuretics

Correct answer: 1. Vestibular exercises